The epiglottis is derived from
1. 3rd arch
2. 4th arch
3. 5th arch
4. 6th arch

Correct answer: 2. 4th arch

Explanation: The caudal part of the hypobranchial eminence forms the epiglottis . HUMAN EMBRYOLOGY-INDERBIR SINGH TENTH EDITION-PAGE NO:213